Conducting hearing loss with intact tympanic membrane ?
1. Presbycausis
2. Meniere's disease
3. Glue ear
4. Acoustic neuroma

Correct answer: 3. Glue ear

Explanation: Ans. is 'c' i.e., Glue ear Among the given options, only glue ear (serous otitis media) is a cause of conductive deafness.